The cholera vibrio -
1. Is strongly anaerobic
2. Grows best at 25degC
3. Has marked tolerance of alkaline pH
4. Grows over a wide range but best at a slight acid pH

Correct answer: 3. Has marked tolerance of alkaline pH

Explanation: Ans. is 'c' i.e., Has marked tolerance of alkaline pH